Which of the following is preferred treatment after birth for baby of HBsAg positive mother?
1. HepB immunoglobulin only
2. HepB immunoglobulin + HepB immunization
3. Only HepB immunization
4. No active treatment required

Correct answer: 2. HepB immunoglobulin + HepB immunization

Explanation: Ans. is 'b' i.e., Hep B immunoglobulin + Hep B immunization o Hepatitis B virus (HBV): It is a global public health problem. The virus is transmitted by parenteral route, sexual contact, vertical transmission and rarely through breast milk. The risk of transmission to fetus ranges from 10% in first trimester to as high as 90% in third trimester and it is specially high (90%) from those mothers who are seropositive to hepatitis B surface antigen (HBsAg) and 'e'-antigen (HBeAg).o Neonatal transmission mainly occurs at or around the time of delivery through mixing of maternal blood and genital secretions. Approximately 25% of the carrier neonate will die from cirrhosis or hepatic carcinoma, between late childhood to early adulthood. HBV is not teratogenic.Recommended treatment for infants born to HBsAg positive mother:o Infants bom to HBsAg-positive mothers should receive HBIG (0.5 mL) intramuscularly (IM) once they are physiologically stable, preferably within 12 hours after birtho HB vaccine, either plasma-derived (10 *gmg per dose) or recombinant (5 *gmg per dose), should be administered IM in three doses of 0.5 mL each.o The first dose should be given concurrently with HBIG but at a different site. If vaccine is not immediately available, the first dose can be given within 7 days after birth. The second and third doses should be given 1 month and 6 months after the first.o Testing the infant for HBsAg and its antibody (anti-HBs) is recommended at 12-15 months of age to monitor the effectiveness of therapy. If HBsAg is not detectable and anti-HBs is present, the child can be considered protected. Testing for antibody to hepatitis B core antigen (anti-HBc) is not useful, since maternal anti-HBc can persist for more than a year.o HBIG and HB vaccination do not interfere with the routine childhood immunizations.